A 50 year old male patient complains of reduced mouth opening. Patient gives h/o RTA 1 week back. A panoramic X-ray was taken using fast intensifying screen. Which of the following is not true about the screen used in this patient?
1. They have large phosphor crystals
2. They produce images with lower resolution
3. They have a thicker phosphor layer and a reflective layer
4. They increase image sharpness

Correct answer: 4. They increase image sharpness

Explanation: Fast screens have large phosphor crystals and efficiently convert X-ray photons to visible light, but produce images with lower resolution. Fast screens also have a thicker phosphor layer and a reflective layer, but these properties also decrease sharpness. In deciding on the combination to use, the practitioner must consider the resolution requirements of the task for which the image will be used. Screen-film combinations are rated for speed, a measure of the amount of radiation required for proper exposure. For dental extraoral diagnostic tasks, it is recommended to use screen-film combinations that have a speed of 400 or faster.
White and Pharoah, Oral radiology, ed 7th, pg-67